The causative agent for "Oculoglandular syndrome of Parinoud" is
1. Arachnia propionica
2. Bartonella henselae
3. Bifidobacterium dentium
4. Mycobacterium leprae

Correct answer: 2. Bartonella henselae